After 8 weeks of visit to female sex worker male patient develops painless ulcer over penis that bleeds on touch without any lymphadenopathy, diagnosis is?
1. Primary Syphilis
2. Chanchroid
3. Herpes simplex virus
4. Donovanosis

Correct answer: 4. Donovanosis

Explanation: Donovanosis (Granuloma Inguinale ) Chronic, progressively destructive bacterial infection of the genital region caused by K. granulomatis. Intracellular, gram-negative, pleomorphic, encapsulated bacterium. Genital ulcers: Single Base is beefy red, bleeds easily and painless. Indurated and elevated margins